All are true regarding WHO growth chart, EXCEPT:
1. It is an important tool for educating
2. The position of dot is more important than direction
3. Between top 2 lines it shows road-to-health
4. Lowermost line represents children below third percentile

Correct answer: 2. The position of dot is more important than direction

Explanation: Growth chart is a visible display of the child's physical growth and development. The WHO prototype growth chart has 2 reference curves. The upper reference curve represents the median (50th percentile) for boys (slightly higher than that of girls), and the lower reference curve the 3rd percentile for girls (slightly lower than that for boys). The chart can be used for both sexes. The space between the two growth curves has been called 'road-to-health'. It is the direction of growth that is more important than the position of dots on the line. It used as an educational tool for mothers. Ref: Park's Textbook of Social and Preventive Medicine, 19th edition, Page 435-437.